The sensory supply of the palate is through all of the following, EXCEPT:
1. Facial nerve
2. Hypoglossal nerve
3. Glossopharyngeal nerve
4. Maxillary division of trigeminal nerve

Correct answer: 2. Hypoglossal nerve

Explanation: The muscles of the soft palate are the tensor veli palatini, the levator veli palatini, the palatoglossus, the palatopharyngeus, and the musculus uvulae.The greater and lesser palatine nerves from the maxillary division of the trigeminal nerve enter the palate through the greater and lesser palatine foramina.The nasopalatine nerve a branch of the maxillary nerve, enters the front of the hard palate through the incisive foramen.The glossopharyngeal nerve also supplies the soft palate.Facial nerve supplies submandibular and sublingual salivary parasympathetic glands, lacrimal gland, and glands of nose and palate.Ref: Clinical Anatomy By Regions By Richard S. Snell, Pages 757, 818 ; DeJong's The Neurologic Examination, Part 327, Issue 2005, By William Wesley Campbell, Page 270